Leash sign is found in
1. Ectopic Pregnancy
2. Vulvovaginitis
3. Polyhydramnios
4. Tubercular Salpingitis

Correct answer: 1. Ectopic Pregnancy

Explanation: Ans. A. Ectopic PregnancyAll cases of ectopic pregnancies had a typical eccentric leash of vessels on color Doppler that showed a low resistance placental type of flow on spectral Doppler. This is called leash sign. This sign has a sensitivity of 100% and specifity of 99% a positive predictive value of 95% and negative predictive value of 100% thus helping in the diagnosis of early ectopic pregnancy, and resulting in earlier treatment with reduced morbidity and mortality.